Edema is due to
1. Increased albumin in blood and decreased globin
2. Decreased albumin conc. in blood
3. Increased osmotic pressure
4. None of the above

Correct answer: 2. Decreased albumin conc. in blood